Retrosternal Goitre Approach is
1. Transcervical approach
2. Transthoracic 2nd ICS
3. Transthoracic 4th ICS
4. Transsternal Anterior mediastinum

Correct answer: 1. Transcervical approach

Explanation: * Retrosternal goitre is 99% extension from Goitre in neck due to enlargement. And such extended retrosternal goitres are mostly removed by neck incision itself by putting the fingers and hooking out the gland. * Such manoeuvre of removal neck incision is known as Toboggan Technique. * Very rarely Sternotomy is done if the goitre is primary mediastinal goitre. Ref:- Surgery Sixer 3rd Edition; Pg num:- 227